The substance that accumulates in cardiac myxoma is
1. Mucopolysaccharides
2. Sialo mucin
3. Gelatin
4. Glycoprotein

Correct answer: 1. Mucopolysaccharides

Explanation: Myxomas are composed of stellate or globular myxoma (lepidic cell, endothelial cells, smooth muscle cells and undifferentiated cells) embedded within abundant acid mucopolysaccharide substance.